Hyperventilation of lungs is prevented by
1. Hering Breuer reflex
2. Irritation reflex
3. Cushing reflex
4. Bainbridge reflex

Correct answer: 1. Hering Breuer reflex

Explanation: Hering Breuer reflex prevents overdistension of the lungs at larger tidal volume. Ref: Ganong 25th ed/page 658